Portal vein is formed ?
1. Behind the spleen
2. Behind the tail of pancreas
3. Behind the neck of pancreas
4. Behind the second part of duodenum

Correct answer: 3. Behind the neck of pancreas

Explanation: The portal vein is about 8 cm long.It is formed by union of superior mesenteric vein and splenic vein behind the neck of pancreas at the level of L2 vertebrae in front of inferior vena cava (IVC).